What is the best guide for the management of fluid resuscitation?
1. CVP
2. Blood pressure
3. Oxygen saturation
4. Urine output

Correct answer: 4. Urine output